Maraviroc acts as:
1. Reverse transcriptase inhibitor
2. Protease inhibitor
3. Entry inhibitor
4. None of the above

Correct answer: 3. Entry inhibitor

Explanation: Maraviroc binds specifically and selectively to CCR5, one of two coreceptors necessary for entrance of HIV into CD4+ cells, thus blocking entry of CCR5-tropic HIV into these cells. Ref: Katzung 11th edition Chapter 49.